X-ray abdomen diagram with multiple fluid levels:
1. Intestinal obstruction
2. Hollow viscus perforation
3. Pyoperitoneum
4. None

Correct answer: 1. Intestinal obstruction

Explanation: Ans. (a) Intestinal obstructionRef: Bailey 26th edition, Page 1189* 3-5 air fluid levels is normal* >5 fluid levels suggest obstruction.